Effect of increased vertical dimension is/are
1. Muscular fatigue
2. Trauma
3. TMJ problem
4. All of the above

Correct answer: 4. All of the above